Cell free zone
1. Also known as zone o HOHL
2. Contains abundant myelinated nerve fibers
3. Contains fibroblasts
4. Contains cytoplasmic process of fibroblast

Correct answer: 4. Contains cytoplasmic process of fibroblast